Optic nerve glioma is associated with
1. Sturge Weber Syndrome
2. Neurofibromatosis I
3. VKH Syndrome
4. Von Hippel Lindau Syndrome

Correct answer: 2. Neurofibromatosis I

Explanation: Answer- B. Neurofibromatosis IOpttic nervee glioma (astrocytoma) is the most common intrinsic tumor of the optic nerve. Most common type of optic nerve glioma is juvenile pilocytic astrocytoma.Optic nerve gliomas are associated with Neurofibromatosis-l (Von Recklinghausen's disease)